The reversal of neutromuscular blockade with d–T–C is done with –
1. Scoline
2. Neostimine
3. Atropine
4. Dantrolene

Correct answer: 2. Neostimine